Lipoprotein involved in reverse cholesterol transport is
1. Chylomicrons
2. LDL
3. VLDL
4. HDL

Correct answer: 4. HDL

Explanation: The class B scavenger receptor B1 (SR-B1) has been identified as an HDL receptor with a dual role in HDL metabolism. In the liver and in steroidogenic tissues, it binds HDL apo A-I, and cholesteryl ester is selectively delivered to the cells, although the particle itself, including apo A-I, is not taken up. In the tissues, on the other hand, SR-B1 mediates the acceptance of cholesterol effluxed from the cells by HDL, which then transports it to the liver for excretion the bile (either as cholesterol or after conversion to bile acids) in the process known as reverse cholesterol transport. Reference: Harper; 30th edition; Page no: 259